Dermatological manifestation of antiphospholipid antibody syndrome among the following is:
1. Cutaneous eruptions
2. Acneiform eruptions
3. Livedo reticularis
4. Telangiectasia

Correct answer: 3. Livedo reticularis

Explanation: Livedo reticularis consists of a mottled reticular vascular pattern and appears like lace like purplish discoloration of the skin. It is a manifestation of venous thrombosis. Ref: Harrisons, Edition - 18 , Page - 2736